True above ovaries is all except
1. Ovaries are supplied by both sympathetic and parasympathetic nerves
2. Ovarian fossa of waldeyer is between divergent external and internal iliac vessels
3. Germinal epithelium of waldeyer is single layer of cuboidal epithelium on the ovarian surface.
4. Utero ovarian ligament extends from medial posterior portion of uterus to uterine pole of ovary

Correct answer: 4. Utero ovarian ligament extends from medial posterior portion of uterus to uterine pole of ovary

Explanation: Utero ovarian ligament originates from lateral posterior portion of uterus.